GABA transmission is facilitated by
1. Vigabatrin
2. Carbazepine
3. Phenytoin
4. Buspirone

Correct answer: 1. Vigabatrin

Explanation: GABAergic transmission refers to activation ofGABA receptors and release of GABA by endogenous or pharmacological modulators. g-Aminobutyric acid (GABA) is the most prevalent inhibitory neurotransmitter in the mammalian central nervous system. Ref: KD Tripathi 8th ed.